The distance between the teeth and the axis of rotation is shorter than the skull, with the resultant loss of accuracy. The instrument which produces such type of replication is:
1. Fully adjustable articulator.
2. Semi adjustable articulator.
3. Hinge articulator.
4. All of the above.

Correct answer: 3. Hinge articulator.